Following are useful in Rx of PPH in women with Rheumatic heart disease except:
1. Oxytocin
2. Misoprostol
3. Methyl ergometrine
4. Carboprost

Correct answer: 3. Methyl ergometrine

Explanation: Ans. C. Methyl ergometrineTreatment of PPH:1. If uterus flabby:a. Massage uterusb. IV Metherginec. Oxytocind. Bladder catheterizatione. Examine expelled placenta2. If still flabby, explore the uterus.3. Injection ergometrine 0.25mg or Methergine 0.2mg is given intravenously following the birth of anterior shoulder. It should not be used in cardiac cases or severe preeclampsia for fear of precipitating cardiac overload in the former and aggravation of blood pressure in the latter.